Cytokines:
1. Includes interleukins
2. Produced only in sepsis
3. Are simple proteins
4. Have highly specific action

Correct answer: 1. Includes interleukins